TRUE about borstals are:
1. Meant for ages > 15 years
2. It comes under the children act
3. It is governed by state inspector general for prisons
4. A borstal sentence is usually of 5 years

Correct answer: 3. It is governed by state inspector general for prisons

Explanation: Borstals are meant for reformation of boys over 16 years who are too difficult to be handled in a certified school. It is somewhere between a certified school and an adult prison. It does not come under the child act it is run by the state inspector general for prisons. Ref: Park, 21st Edition, Page 543